Which of the following is false about salivary gland tumors?
1. Pleomorphic adenoma is most common tumor of parotid
2. Adenoid cystic carcinoma most commonly occurs in minor salivary glands
3. Warthin's tumor is most common malignant tumor of salivary glands
4. Perineural invasion is seen is adenoid cystic carcinoma

Correct answer: 3. Warthin's tumor is most common malignant tumor of salivary glands

Explanation: Salivary gland tumors Pleomorphic adenoma is most common tumor of parotid Adenoid cystic carcinoma most commonly occurs in minor salivary glands Warthin's tumor is a benign tumor of salivary gland Perineural invasion is seen is adenoid cystic carcinoma